All combinations are true, except -
1. Erythema nodosum leprosum-Type III hypersensitivity
2. Post streptococcal glomerulonephritis -Type III hypersensitivity
3. Schick test - delayed hypersensitivity
4. Mismatched blood transfusion - Type II hypersensitivity

Correct answer: 3. Schick test - delayed hypersensitivity

Explanation: Learn This List (Many a times questions asked from this. Remember the 80/20 Rule) Type I (IgE mediated) Eczema Hay fever Asthma Atopy Urticaria Anaphylactic shock Acute dermatitis Theobald smith phenomenon Prausnitz Kusnter (PK) reaction Casonis test Schultz-Dale phenomenon Type II (IgG IgM and complement mediated) Blood transfusion reactions Erythroblastosis fetal is Autoimmune hemolytic anemia or thrombocytopenia or agrnulocytosis Good pasture syndrome Pemphigus vulgaris Bullous pemphigoid Pernicious anemia Acute rheumatic fever Diabetes mellitus Graves disease Myasthenia gravis Type III (IgG, IgM, complement and leucocyte mediated) o Local-Arthus reaction o Systemic-serum sickness o Schick test o Polyarteritis nodosa (PAN) o Rheumatoid arthritis o SLE o Acute viral hepatitis o Penicillamine toxicity o Hyperacute graft rejection o Type 2 lepra reaction (ENL) o Hypersensitivity pneumonitis o R.A. o Infective endocarditis o Henoch schonlein purpura o Glomerulonephritis Type IV (Cell mediated) o Tuberculin test o Lepromin test o Sarcoidosis o Tuberculosis o Contact dermatitis o Granulomatous inflammation o Type I lepra reaction o Patch test o Temporal arteritis o Jones mote reaction (cutaneous basophilic HSN) o Graff rejection o Fairleys test o Frie's test